MC side effect of IUCD is -
1. Menorrhagia
2. Infection
3. Perforation
4. Ectopic pregnancy

Correct answer: 1. Menorrhagia

Explanation: Ans. is 'a' i.e., Menorrhagia Complications of IUD1) Increased bleeding is the greatest disadvantage oflUDs and, along with pain, accounts for their removal in 2-10 per 100 users in the first year.2) Misplaced IUD: If the device is detected inside the peritoneal cavity, it should be removed as early as possible. Copper devices produce irritative reactions, inflammations, and a lot of adhesions.3) Infections: Doxycycline 200 mg or, better still, azithromycin 500 mg, administered orally 1 h before insertion, reduces chance of infection.4) Pregnancy: As soon as pregnancy is confirmed, the IUD should be removed, if it can be done easily, to reduce the risk of pelvic infection and miscarriage--the most frequent complication of pregnancy with an IUD in place.5) Ectopic pregnancy: Several studies, including a WHO multicenter study, have found that IUD users are 50% less likely to have ectopic pregnancy than women using no contraception. The chance of ectopic pregnancy in IUD users is rare and varies from 0.25 to 1.5 per 1000 women-year. However, when pregnancy occurs, the chance of ectopic pregnancy is higher (about 30%) than in general population (about 0.5-0.8%) of all pregnancies.